Low and fixed specific gravity of urine is seen in ?
1. Diabetes mellitus
2. Diabetes insipidus
3. Chronic renal failure
4. Acute glomerulonephritis

Correct answer: 3. Chronic renal failure

Explanation: Ans is 'c' i.e., Chronic renal failure.